Which is the most active single chemotherapeutic agent in the treatment of leiomyosarcoma ?
1. Adriamycin
2. Daunorubicin
3. Methotrexate
4. Cisplatin

Correct answer: 1. Adriamycin